Which of the following genetic abnormalities is associated with the development of hyperkalemia:
1. 11b - hydroxylase deficiency
2. Liddle's syndrome
3. Gitelman syndrome
4. Autosomal dominant polycystic kidney disease

Correct answer: 4. Autosomal dominant polycystic kidney disease

Explanation: 11 beta hydroxylase deficiency Androgen excess- masculinization of female newborns and precocious puberty in male Hypertension, which may or may not be associated with mineralocorticoid excess, hypokalemia, and metabolic alkalosis Liddle syndrome AD, hypertension associated with low plasma renin activity, metabolic alkalosis, hypokalemia, and normal to low levels of aldosterone Autosomal dominant polycystic kidney disease Since ESRD will ensue in these patients, hyperkalemia will always be a feature of ADPKD Gitelman syndrome Hypokalemic metabolic alkalosis